During standing, pulsatile blood flow is found in which of the zones in healthy lung?
1. Zone 1
2. Zone 2
3. Zone 3
4. Zone 4

Correct answer: 2. Zone 2

Explanation: Ans. B. Zone 2a. Intermittent or pulsatile flow is found at Zone 2 which is found in apex of healthy lungs.b. Zone 3 is base, and has continuous flow (arterial pressure > venous pressure > alveolar pressure)c. Zone 1 doesn't occur in normal physiological conditions. If found, it would be in apex. Here alveolar pressure > arterial pressure > venous pressure; so there is no blood flow. Zone 1 represents alveolar dead space. Such regions can form when pulmonary arterial pressure falls to very low (eg. In hemorrhage; Or when alveolar pressure is very high (eg. Positive pressure ventilation).d. Zone 2: arterial pressure > alveolar pressure > venous pressure: Waterfall effect = pulsatile flow